Boundary of triangle of auscultation is not formed by?
1. Senatus anterior
2. Scapula
3. Trapezius
4. Latissimus dorsi

Correct answer: 1. Senatus anterior

Explanation: Serratus anterior.